Route of administration of nitrous oxide is:
1. Inhalation.
2. Oral.
3. Intramuscular.
4. Intravenous.

Correct answer: 1. Inhalation.